5 year old male child presents with complaints of fever and abdominal distension . On examination there are 6 - 8 pus Cells/hpf in urine . WBC count shows 78 % neutrophils. What is the best line of management?
1. Send urine for culture and sensitivity and wait for results
2. Send urine for culture and sensitivity and start in antibiotics immediately
3. Send urine for culture, do on USG
4. Radionuclide

Correct answer: 2. Send urine for culture and sensitivity and start in antibiotics immediately

Explanation: The condition is upper UTI ( Pyelonephrits).
Fever, presence of pus Cells in urine indicates renal parenchymal involvement.
Parental Ceftriaxone or amplicillin with aminoglycoside is given for 10 to 14 days .